Ophthalmia neonatorum presenting within 24 hours of birth is most likely due to
1. Chemical inoculation
2. Herpes simplex
3. Staphylococcus
4. H. Influenzae

Correct answer: 1. Chemical inoculation

Explanation: Chemical conjunctivitis Time of onset of chemical conjuctivitis: Immediately after birth Ophthalmia Neonatorum *B/L Conjunctival swelling in a neonate in first 4 weeks of life Signs Pain and tenderness in the eyeball. Conjunctival discharge Conjunctiva shows hyperaemia & chemosis. Eyelids are usually swollen. Corneal involvement may occur in herpes simplex ophthalmia neonatorum. CAUSES Chlamydia trachomatis Neisseria gonorrhoeae Haemophilus species Streptococcus pneumoniae Staphylococcus aureus BACTERIAL Staphylococcus epidermidis Streptococcus viridans Escherichia coli Pseudomonas aeruginosa VIRAL Adenovirus Herpes simplex virus CHEMICAL CONJUNCTIVITIS Crede's solution Time of Onset *Chemical : Immediately *C. Trachomatis: upto 2 weeks *N. Gonorrhea: 24-48 hours *Staphylococcus, H. influenzae, Streptococcus, enterococcus: 2-5 days *Viral: within one week Just on the basis of the time of onset, it is difficult to make a diagnosis sometimes, other relevant clinical history and clinical findings have to be taken in consideration